Antibiotic of choice for Stenotrophomonas maltophilia infection is:
1. Ampicillin
2. Trimethoprim-sulfamethoxazole (TMP-SMX)
3. Penicillin
4. Ciprofloxacin

Correct answer: 2. Trimethoprim-sulfamethoxazole (TMP-SMX)

Explanation: Ans: b. Trimethoprim-sulfamethoxazole (TMP-SMX)